Stimulation of horizontal semicircular canal causes nystagmus in which direction?
1. Vertical
2. Horizontal
3. Rotatory
4. Any of the above

Correct answer: 2. Horizontal

Explanation: The cupulae of the semicircular canals are stimulated by the movement of endolymphatic fluid and each canal causes the nystagmus in its own plane:-Stimulation of horizontal SCC - Horizontal nystagmusStimulation of superior SCC - rotary nystagmusStimulation of vertical SCC - Vertical nystagmusRef: PL Dhingra, Diseases of Ear, Nose & Throat, 7th edition, pg no. 19 - 20